The best guide to adequate tissue perfusion in the fluid management of a patient with burns, is to ensure a minimum hourly urine output of ?
1. 10-30 ml
2. 30-50 ml
3. 50-70 ml
4. 70-100 ml

Correct answer: 2. 30-50 ml

Explanation: Ans. is 'b' i.e., 30-50 ml